Which is more appropriate in a case of schizophrenia-a) Low socioeconomic groupb) Seen in adolescentsc) Common in primitive societiesd) Affluent society influences the incidence
1. ac
2. a
3. ab
4. bc

Correct answer: 3. ab

Explanation: Schizophrenia starts in late adolescents and early adulthood.


"Schizophrenia is more prevalent in patients having a lower socioeconomic status".   —Namboodiri